Most common inherited thrombotic disorder is -
1. Protein C deficiency
2. Protein S deficiency
3. Factor V leiden mutation
4. tPA deficiency

Correct answer: 3. Factor V leiden mutation